Most common arteries are involved in Myocardial infarction:
1. Right coronary artery
2. Left coronary artery
3. Left anterior descending coronary artery
4. Left circumflex coronary artery

Correct answer: 3. Left anterior descending coronary artery

Explanation: (Left anterior descending coronary artery): Ref: 577-R (392- Basic pathology 8th)Myocardial infarction: - Commonly affected arteries1. Left anterior descending coronary artery (40% to 50%) infarct involves anterior wall of the left ventricle, near apex, anterior portion of ventricular septum; apex circumferentially2. Right coronary artery (30 to 40%) infarct involves inferior/posterior wall of left ventricles, posterior portion of ventricular septum; inferior/posterior right ventricular free wall in some cases3. Left circumflex coronary artery (15% to 20%) infact involves lateral wall of left ventricles except at apex.